All of the following cranial nerves contain Somatic Efferents, Except:
1. VII Nerve (Facial nerve)
2. III Nerve (Occulomotor nerve)
3. IV Nerve (Trochlear nerve)
4. VI Nerve (Abducent nerve)

Correct answer: 1. VII Nerve (Facial nerve)

Explanation: A i.e. Facial